One of the following is not a malignant feature
1. Aplasia
2. Anaplasia
3. Abnormal mitosis
4. Pleomorphism

Correct answer: 1. Aplasia